Leukoplakia with the worst prognosis is seen on the:
1. Dorsum of tongue
2. Floor of mouth
3. Buccal mucosa
4. Palate

Correct answer: 2. Floor of mouth